A statement recorded by the magistrate in front of the accused or his lawyer is known as?
1. Summon
2. Punchnama
3. Dying deposition
4. Dying declaration

Correct answer: 3. Dying deposition

Explanation: Ans. is 'c' i.e., Dying depositionDying declaration is the written or verbal statement made by a person likely to die because of some unnatural act done on his body, narating the circumstances or the conditions responsible for his present state of health or the cause and manner of likely unnatural death.Dying deposition is the statement of a person on oath, recorded by the magistrate in the presence of the accused or his lawyer, who is allowed to cross-examine the witness. This procedure is not followed in India.